AGN is diagn osed by -
1. Hyaline cast
2. WBC cast
3. RBC cast
4. Granular cast

Correct answer: 3. RBC cast

Explanation: Ans. is 'c' i.e., RBC cast R.B.C. Castso In a normal healthy person, no casts are seen in low power fields Q.o An urinary sediment is microscopically examined under both the low power field and high power field.o Low power field is used to detect castsr while high power field is used to detect RBC's, WBC's and bacterias.Reference valueRBCsQ-0-3/(high power field)RBC castQ-0/ LPF (Low power field)o RBC casts indicate acute inflammatory or vascular disorder in the glomerulus and are found in:Glomerulonephritis QRenal infarction QLupus nephritis QGoodpasteur s syndromeQSevere pyelonephritis QCongestive heart failureRenal vein thrombosisAcute bacterial endocarditisMalignant hypertensionPeriarteritis nodosa